What is seen on x-ray with posterior elbow dislocation
1. Coronoid process posterior to humerus
2. Coronoid process anterior to humerus
3. Coronoid process below humerus
4. None

Correct answer: 1. Coronoid process posterior to humerus

Explanation: Refer Ebnezar 4thp 158 In posterior elbow dislocation, Coronoid process of ulna is posterior to the condyles of humerus